Broadest neuroretinal rim is seen in -
1. Sup pole
2. Inf pole
3. Nasal pole
4. Temporal lobe

Correct answer: 2. Inf pole

Explanation: Ans. is 'b' i.e., Inf poleo The neurorentinal rim is the area of optic disc which contains neural elements and is located between the edge of the optic disc and the physiological cup.o The neuroretinal rin is broadest Inferiorly, followed by Superior, Nasal and Temporal regions in decreasing order of thickness (the ISNT) rule.o The clinical significant of neuroretinal rim is that there is thinning of neuroretinal rim in glaucoma.